Frieberg's disease involve -
1. Tibial tuberosity
2. Calcaneal tuberosity
3. 2nd metatarsal
4. 5th metarasal

Correct answer: 3. 2nd metatarsal

Explanation: *Frieberg's disease is osteochondritis of 2nd metatarsal head. Ref: Appley's 9th/e p.723